A 5 year old child is admitted with headache, vomitting and diffifculty in walking. Physical findings include truncal ataxia, papilloedema and left lateral recuts palsy. No finger-to-nose ataxia could be detected on the left side or right side. The most likely diagnosis is-
1. Dandy walker syndrome
2. Syringobulbia
3. Arnold-chiari malformation
4. Medulloblastoma

Correct answer: 4. Medulloblastoma

Explanation: Ans. is 'd' i.e., Medulloblastoma o Congenital lesions would present Hydrocephalus since birth (for a & c)